Autoantigen is -
1. Blood group antigen
2. Forssman antigen
3. Both
4. None

Correct answer: 4. None

Explanation: Sequesterd antigen that are not normally found free in ciculation or tissue fluids such as eye lens protien Ref: Ananthanarayan & Panikers textbook of microbiology 9th edition pg:89